Which of the following statement characterize both Hemoglobin and Myoglobin?
1. Non-helical
2. Subunits which are held together by hydrogen bonds
3. Binds with 2 HEMA
4. HEMA at hydrophobic pockets

Correct answer: 4. HEMA at hydrophobic pockets

Explanation: Myoglobin and hemoglobin are hemeproteins whose physiological importance is principally related to their ability to bind molecular oxygen. Myoglobin is a monomeric heme protein found mainly in muscle tissue where it serves as an intracellular storage site for oxygen. During periods of oxygen deprivation oxymyoglobin releases its bound oxygen which is then used for metabolic purposes. The tertiary structure of myoglobin is that of a typical water soluble globular protein. Its secondary structure is unusual in that it contains a very high proportion (75%) of a-helical secondary structure. A myoglobin polypeptide is comprised of 8 separate right handed a-helices, designated A through H, that are connected by short non helical regions. Amino acid R-groups packed into the interior of the molecule are predominantly hydrophobic in character while those exposed on the surface of the molecule are generally hydrophilic, thus making the molecule relatively water soluble.